Staphylococcus differs from streptococcus by
1. Coagulase test
2. Catalase test
3. Phosphatase
4. Gram negative

Correct answer: 2. Catalase test

Explanation: Staphylococcus is catalase positive, unlike streptococci which are catalase negative. Catalase test: positive test indicates production of catalase. Place a loopful of hydrogen peroxide on colonies on the nutrient agar. Prompt effervescence indicates catalase production. Ref: Textbook of Microbiology; Ananthanarayanan and Panicker; 10th Edition: pg;207